The contraceptive TODAY which has been recently introduced contains :
1. Prostaglandin F2
2. Norethisterol
3. 9 - Nonoxynol
4. Copper releasing mesh

Correct answer: 3. 9 - Nonoxynol

Explanation: 9 - Nonoxynol